An amino acid which does not participate in alpha helix formation is
1. Leucine
2. Glycine
3. Proline
4. Lysine

Correct answer: 3. Proline

Explanation: The stability of a helix arises primarily from hydrogen bonds formed between the oxygen of the peptide bond carbonyl and the hydrogen atom of the peptide bond nitrogen of the fourth residue down the polypeptide chain.Since the peptide bond nitrogen of proline lacks a hydrogen atom, it is incapable of forming a hydrogen bond with a carbonyl oxygen.Harper 30th edition pg: 38